Pair of organs involved in cahill cycle?
1. Liver and muscle
2. liver and kidney
3. liver and brain
4. muscle and kidney

Correct answer: 1. Liver and muscle